In deep older plaque
1. Streptococci and actinomyces are replaced by rod like organism
2. Streptococci are completely replaced by neisseria
3. Streptococci actinomyces and veilonella remain prominent
4. Actinomyces are completely replaced by streptococci

Correct answer: 1. Streptococci and actinomyces are replaced by rod like organism